Mode of spread of enterovirus is?
1. Vector mediated
2. Droplet infection
3. Fecal–oral route
4. Skin contact

Correct answer: 3. Fecal–oral route